Not a cause of Hypomagnesemia:
1. Gitelman syndrome
2. Re-feeding syndrome
3. Hyperaldosteronism
4. Rhabdomyolysis

Correct answer: 4. Rhabdomyolysis

Explanation: * Gitelman is a defect of DCT where TRPM6 receptor for magnesium reabsorption is present and is defective leading to Hypomagenesemia * In Re-feeding syndrome seen with starvation, provision of nutrition in form of substrates will lead to cellular consumption leading to rapid shift of magnesium from extracellular fluid to intracellular compartments. * Hyperaldosteronism will lead to expansion of plasma volume and resultant fall of magnesium. * In Rhabdomyolysis cell destruction will lead to Hypermagnesemia.